The drug of choice for prevention of seizures in a patient with severe pre-eclampsia is:
1. Phenytoin
2. Magnesium sulphate
3. Diazepam
4. Nifedipine

Correct answer: 2. Magnesium sulphate

Explanation: DOC for both prevention and treatment of seizure in a patient with severe pre-eclampsia is MAGNESIUM SULPHATE Signs of IMMINENT ECLAMPSIA are Headache Nausea, vomiting Blurring of vision Increased knee jerks Reduced output Epigastric pain Severe proteinuria Diastolic Blood pressure ? 100mm/hg. DOC for hypertensive emergencies in pregnancy is I.V. LABETALOL.